Sentinel node biopsy for Ca breast is for
1. Early diagnosis of cancer
2. For staging the tumours
3. Frozen section
4. Occult disease detection

Correct answer: 2. For staging the tumours

Explanation: *Sentinel lymph nodes: Lymph nodes where the lymphatics drain first from a primary tumorSentinel lymph node biopsy can be identified by radiotracer or colored dyes. If the sentinel node is negative for metastasis, it is unlikely that other more distant nodes will be involved and the patient can be spared the morbidity (like lymphedema) of complete axillary dissection.Ref: Robbins 8/e p1089